Longest acting erythro poietin analogue is
1. Epoietin α
2. Epoietin β
3. Darbo poietin
4. Romiplostim

Correct answer: 3. Darbo poietin

Explanation: Darbo poietin is the longest acting erythropoietin analogue.
Epoietin α & Epoietin β are other erythropoietin analogues.
Romiplostim is a thromboplastin analogue.